A 17 year old female with von Willebrand disease presents for dental extraction the appropriate prior line of management include
1. Cryoprecipitate
2. FFP
3. Recombinant factor VIII
4. DDAVP

Correct answer: 4. DDAVP

Explanation: . DDAVP